Not true regarding Prune belly syndrome is?
1. Macroglossia
2. Hydroureteronephrosis
3. Anterior abdominal wall defect
4. Cryptorchidism

Correct answer: 1. Macroglossia

Explanation: Prune Belly Syndrome Aka Triad Syndrome Or Eagle Barrett Syndrome C/f: deficient abdominal muscles, undescended testis, cryptorchidism, urinary tract abnormalities eg. large bladder